Abdominal compartment syndrome is characterized by the following except -
1. Hypercarbia and respiratory acidosis
2. Hypoxia due to increased peak inspiratory pressure
3. Hypotension due to decrease in venous return
4. Oliguria due to ureter obstruction

Correct answer: 4. Oliguria due to ureter obstruction

Explanation: Ans. is `d' i.e., Oliguria due to uretic obstruction